Postmortem lividity is unlikely to develop in a case of
1. Drowning in well
2. Drowning in a fast flowing river
3. Postmortem submersion
4. Drowning in chlorinated swimming pool.

Correct answer: 2. Drowning in a fast flowing river

Explanation: B i.e. Drowning in fast flowing water (river)